True statement about latch bridge mechanism
1. Binding of tropomyosin to actin
2. Sustained contraction of smooth muscle with low consumption of energy
3. Variability of tension at particular length
4. None of the above

Correct answer: 2. Sustained contraction of smooth muscle with low consumption of energy

Explanation: Latch bridge mechanism is seen in smooth muscle. In smooth muscle, even after depolarisation of muscle cross bridge continue to cling for sometime leading to sustained contraction of smooth muscle.